The pH of amniotic fluid is:
1. 6.8 to 6.9
2. 8.1 to 8.3
3. 7.4 to 7.6
4. 6.7 to 6.8

Correct answer: 3. 7.4 to 7.6

Explanation: Amniotic Fluid: pH - Alkaline (7.4-7.6) Specific gravity- 1.008-1.010 Colour- Straw colour